Ulnar collateral nerve is
1. Branch of ulnar nerve
2. Branch of radial nerve supplying medial head of triceps
3. Branch of radial nerve supplying long head of biceps
4. Branch of radial nerve supplying lateral head of triceps

Correct answer: 2. Branch of radial nerve supplying medial head of triceps

Explanation: In the arm, the radial nerve is posterior to the brachial artery. Here it gives muscular branches to long and medial heads of triceps brachii. The branch for medial head lies very close to the ulnar nerve and hence is called the ulnar collateral nerve. ReferenceClinicall Anatomy for students, a problem-solving approach, Neeta v Kulkarni, 2nd edition, page no.179